Extradural haematoma is associated with what % of severe trauma
1. 35
2. 10
3. 25
4. 50

Correct answer: 2. 10

Explanation: Epidural hematoma occur in upto 10% of severe head injury cases and are less often associated with underlying cortical damage than are subdural hematomas." - Harrison Ref : Harrison 17/e 2599